In depressions, there is deficiency of ?
1. 5-HT
2. Acetylcholine
3. Dopamine
4. GABA

Correct answer: 1. 5-HT

Explanation: Ans. A. 5-HTDepression = Decrease in serotonin and norepinephrine.Serotonin is the most imPoant neurotransmitter in depression.Mania= Increased of norepipherine.